Which of the following mutations in a tumour suppressor agent causes breast carcinoma-
1. p43
2. p53
3. p73
4. p83

Correct answer: 2. p53

Explanation: Robbins and Cotran pathologic basis of disease South Asia edition. Breast cancer may be hereditary arising in women with germline mutation in tumour suppressor gene or sporadic. after a cell sustains DNA damage it must undergo cell cycle arrest and either repair its DNA or for by apoptosis by P53 . In its mutated form P53 ceases to act as a protector or as growth suppressor but instead acts like a growth promoter or onco gene..